. Pap smear of Lelawati 45 years female shows CIN grade III. Which of the following is the next step in management:
1. Punch biopsy
2. Large loop excision
3. Colposcopy directed biopsy
4. Cone biopsy

Correct answer: 3. Colposcopy directed biopsy

Explanation: • Pap smear is only a screening test. To confirm we need to do a biopsy.
• In all visible lesions punch biopsy should be done
• In case of invisible lesion colposcopic directed biopsy is the gold standard. Thus in this case since it is not mentioned growth is visible so we do colposcopy guided biopsy.